Drooping eyelids in evening in boy ?
1. Myasthenia gravis
2. Oculomotor nerve palsy
3. Botulism toxin
4. All of above

Correct answer: 1. Myasthenia gravis

Explanation: Ans. is 'a' i.e., Myasthenia gravis Mvasthenia gravis - Two forms Neonatal transient myasthenia gravis Occurs in infant of myasthenic mother Due to placental transfer of anticholinesterase antibody. Presented as ptosis, weak cry, letahrginess, hypotonea within first few hour of birth. Resolve spontaneously within 4 weeks. Juvenile myasthenia gravis Seen in older children M.C. ocular nuscle involved Diurnal variation seen Usually associated with other autoimmune disorder. Diagnosed by Edrophonium test Repetitive stimulation test Antibody testing Treament Pyridostigmine Steroid Plasma pharesis